which of the is not a NEVUS of melanocyte-
1. Mongolian spot
2. Spitz naevi
3. Nevus of oto
4. Becker Nevus

Correct answer: 4. Becker Nevus

Explanation: Classification of melanocytic and pigmented naevi 1. Congenital melanocytic naevi 2. Acquired melanocytic naevi Junctional naevi Compound naevi Intradermal naevi 3. Other pigmented naevi Spitz naevi Mongolian naevi Naevus of ota Speckled and lentiginous naevus Dysplastic naevus From illustrated synopsis of dermatology and sexually transmitted diseases neena khanna 5th edition page no 379